Maximum global warming is by
1. Desflurane
2. Isoflurane
3. Sevoflurane
4. Halothane

Correct answer: 1. Desflurane

Explanation: Desflurane is a greenhouse gasIt causes maximum global warmingGlobal warming potential (as an equal amount of CO2)Isoflurane210 timesSevoflurane510 timesDesflurane 1620 times (Refer: Morgan and Mikhail's Clinical Anaesthesiology, 5th edition, pg no. 170)